All of the following are the Minor criteria for infectiv e endocarditis EXCEPT
1. Evidence of endocardial involvement documented by echocardiography
2. Janeway lesions
3. Embolic disease
4. Osier's nodes

Correct answer: 1. Evidence of endocardial involvement documented by echocardiography

Explanation: (A) Evidence of endocardial involvement documented by echocardiography \# DUKE CRITERIA for the Clinical Diagnosis of Infective Endocarditis# Major Criteria> Positive blood culture Typical microorganism for infective endocarditis from two separate blood cultures Viridans streptococci. Streptococcus bovis, HACEK group. Staphylococcus aureus, or Community-acquired enterococci in the absence of a primary focus, or Persistently positive blood culture, defined as recovery of a microorganism consistent with infective endocarditis from:> Blood cultures drawn >12 h apart; or All of three or a majority of four or more separate blood cultures, with first and last drawn at least 1 h a part.> Single positive blood culture for Coxiella burnetii or phase IgG antibody titer of > 1:800 Evidence of endocardial involvement> Positive echocardiogram Oscillating intracardiac mass on valve or supporting structures or in the path of regurgitant jets or in implanted material, in the absence of an alternative anatomic explanation, or Abscess, or New partial dehiscence of prosthetic valve, or New valvular regurgitation (increase or change in preexisting murmur not sufficient)# Minor Criteria> Predisposition: predisposing heart condition or injection drug use> Fever >38.0degC (>100.4degF)> Vascular phenomena: major arterial emboli, septic pulmonary infarcts, mycotic aneurysm, intracranial hemorrhage, conjunctival hemorrhages, Janeway lesions> Immunologic phenomena: glomerulonephritis.> Osier's nodes: Roth's spots, rheumatoid factor> Microbiologic evidence: positive blood culture but not meeting major criterion as noted previously" or serologic evidence of active infection with organism consistent with infective endocarditis